Quartz tungsten light cure device, minimum output of energy should not be less than
1. 300 mw/cm2
2. 350 mw/cm2
3. 400 mw/cm2
4. 450 mw/cm2

Correct answer: 1. 300 mw/cm2